Most Sensitive Investigation for Acute Appendicitis?
1. USG
2. CT
3. MRI
4. Abdominal Radiography

Correct answer: 2. CT

Explanation: * CT is the more sensitive investigation to detect Acute Appendicitis than USG * USG is preferred investigation for acute appendicitis in children and CT scan in Adults